Glycoprotein IIb/IIIa receptor antagonist is:
1. Clopidogrel
2. Abciximab
3. Tranexamic acid
4. Ticlopidine

Correct answer: 2. Abciximab

Explanation: Abciximab is glycoprotein IIa/IIIb receptor antagonist. Ticlopidine and Clopidogrel are ADP antagonist. From medical pharmacology padmaja 4th edition Page no 343